Growth phase of hair is
1. Anagen
2. Metagen
3. Telogen
4. None

Correct answer: 1. Anagen

Explanation: A i.e. Anagen